Drug of choice for antibiotic associated pseudomembranous colitis is:
1. Oral vancomycin
2. Metronidazole
3. Clindamycin
4. Penicillin G

Correct answer: 1. Oral vancomycin

Explanation: Ans. (A) Oral vancomycin(Ref: CMDT 2019/661)According to new guidelines, oral vancomycin is drug of choice for pseudomembranous colitis